Which of the following is not a germ cell tumor?
1. Embryonal cell cancer
2. Primitive Neuroendocrine tumor
3. Dysgerminoma
4. Teratoma

Correct answer: 2. Primitive Neuroendocrine tumor

Explanation: B- Primitive Neuroendocrine Tumor. Examples of GCT: Seminoma Dysgerminoma Embryonal cell Ca Chorio Ca Teratoma Yolk-Sac tumor